A child with recurrent hypoglycemic attack and hepatomegaly is likely to have –
1. Von Gierke's disease
2. Neonatal diabetes
3. Neonatal hepatitis
4. Galactosemia

Correct answer: 1. Von Gierke's disease

Explanation: Recurrent hypoglycemic attack with hepatomegaly is seen in Type I glycogen storage disease (Von Gierke disease).
Glycogen storage diseases 

Glycogen storage diseases result from a hereditary deficiency of one of the enzymes involved in the synthesis or sequential degradation of glycogen.
Clinical features depend on the type of enzyme deficiency and organ involvement.
Glycogen storage diseases can be divided into:-

1)   Hepatic form (Liver glycogenolysis)

The liver is the key player in glycogen metabolism.
It contains enzymes that synthesize glycogen for storage and ultimately break it down into free glucose, which is then released into the blood.
So, An inherited deficiency of hepatic enzymes that are involved in glycogen metabolism leads to

i)  Storage of glycogen in liver → Hepatomegaly.
ii) Reduction in blood glucose → Hypoglycemia.

Examples of liver glycogenoses are -


Type I glycogenosis → Glucose - 6 - phosphatase deficiency (Von Gierke disease).
Type III glycogenosis → Debranching enzyme def
Type IV glycogenesis → Branching enzyme def
Type VI glycogenosis → Liver phosphorylase def

2) Myopathic form (Muscular glycogenoses)

In skeletal muscle, as opposed to the liver, glycogen is used predominantly as a source of energy.


This is derived from glycolysis, which leads ultimately to the formation of lactate.
So, enzyme deficiency leads to -


Glycogen deposition in muscle
Muscle cramp after exercise
The exercise-induced rise in blood lactate levels owing to block in glycolysis
There may be myoglobinuria


Examples are -


Type V glycogenosis → phosphorylase deficiency (McArdle disease).
Type VII glycogenosis → phosphofructokinase def

3) Miscellaneous types

Associated with glycogen storage in many organs and death in early life.
Examples -

i)    Type II glycogenosis → Acid maltase deficiency (Pompe's disease)